Acute mechanical large bowel obstruction should be operated early because of the risk of -
1. Respiratory embarrassment due to abdominal distension
2. Electrolyte imbalance from vomiting
3. Septicaemia from bowel contents
4. Closed-loop obstruction and caecal perforation

Correct answer: 4. Closed-loop obstruction and caecal perforation

Explanation: • Virtually all patients with complete acute large bowel obstruction require prompt surgical intervention and should not undergo a trial of non-operative management
• Acute large bowel obstruction in patients with competent ileocecal valve is a true surgical emergency because of high chances of perforation (MC site: Cecum) 
• Once diagnosis has been made, surgical exploration should be undertaken as soon as possible after appropriate resuscitation